Animal reservoir is seen in all except -
1. Rabies
2. Yellow fever
3. Influenza
4. Measles

Correct answer: 4. Measles